A female 35 years P3 L3 with CIN III on colposcopic biopsy what would you do?
1. LEEP
2. Conization
3. Hysterectomy
4. Cryotherapy

Correct answer: 1. LEEP

Explanation: Ans. is a, i.e. LEEPRef: CGDT 10th/ed, p840; Jeffocate 7th/ed, p421Loop Electrosurgical Excision Procedure (LEEP) has now become the procedure of choice for treating CIN II and CIN III in all age groups. Therefore in this patient we will go for LEEP.